True statement regarding RNTCP includes all except
1. Sputum microscopy
2. Exclusion of private practitioners
3. Participation of all health workers
4. Provide latest equipments

Correct answer: 2. Exclusion of private practitioners